Murphy's eye is part of which of the following devise:-
1. Endotracheal tube
2. Laryngeal mask airway
3. Anesthesia face mask
4. Mapleson circuit

Correct answer: 1. Endotracheal tube

Explanation: It is the part of Endotracheal tube just distal to proximal opening. Size of ETT Adult Male : 8mm ID-9mm ID Adult Female :7mm ID-8mm ID Pediatric <6yrs Age/4 + 4.5mm ID >6yrs Age/3 + 3.5mm ID